Hepatotoxic drugs are all EXCEPT :
1. Methotrexate
2. Isoniazid
3. Cycloserine
4. Ethionamide

Correct answer: 3. Cycloserine